All of the following metabolic actions are done by insulin, EXCEPT:
1. Glycogen synthesis
2. Glycolysis
3. Decreases lipid synthesis
4. Decreases ketogenesis

Correct answer: 3. Decreases lipid synthesis

Explanation: Insulin does not decrease lipid synthesis. It increases lipid synthesis. Rest all process is done by Insulin. Also Know: Effect of Insulin on various tissues: Adipose tissue: Increased glucose entry Increased fatty acid synthesis Increased glycerol phosphate synthesis Increased triglyceride deposition Activation of lipoprotein lipase Inhibition of hormone-sensitive lipase Increased K+ uptake Muscle: Increased glucose entry Increased glycogen synthesis Increased amino acid uptake Increased protein synthesis in ribosomes Decreased protein catabolism Decreased release of gluconeogenic amino acids Increased ketone uptake Increased K+ uptake Liver: Decreased ketogenesis Increased protein synthesis Increased lipid synthesis Decreased glucose output due to decreased gluconeogenesis, increased glycogen synthesis, and increased glycolysis General: Increased cell growth Ref: Barrett K.E., Barman S.M., Boitano S., Brooks H.L. (2012). Chapter 24. Endocrine Functions of the Pancreas & Regulation of Carbohydrate Metabolism. In K.E. Barrett, S.M. Barman, S. Boitano, H.L. Brooks (Eds), Ganong's Review of Medical Physiology, 24e.